Abciximab is:
1. Antibody against Ilb\/Illa receptors
2. Antibody against Ib\/IX receptors
3. Topoisomerase inhibitor
4. Adenosine inhibitor

Correct answer: 1. Antibody against Ilb\/Illa receptors

Explanation: Abciximab is a glycoprotein IIa/IIIb receptor antagonist. From medical pharmacology padmaja 4th edition Page no 343